A child presents with lid lag and an enlarged cornea with a diameter of 13 mm. Examination of the eye reveals double contoured opacities concentric to the limbus. Which of the following is the most likely diagnosis?
1. Superficial keratitis
2. Deep keratitis
3. Thyroid Endocrinopathy
4. Congenital Glaucoma

Correct answer: 4. Congenital Glaucoma

Explanation: Ans. (d) Congenital GlaucomaRef: Kanski 7/e, p. 374; Parson's 22/e, p. 304; Shields 6/e, p. 210, 223An enlarged globe with an enlarged corneal diameter > 13 mm along with characteristic Haabs striae (double contoured opacities concentric to limbus) suggests the diagnosis of congenital glaucoma.